J receptors are found in which of the following?
1. Pulmonary Interstitium
2. Alveolar capillaries
3. Terminal bronchiole
4. Respiratory muscles

Correct answer: 1. Pulmonary Interstitium

Explanation: J receptors are discovered by Indian physiologist A.S.Paintal. They are located very close to pulmonary capillaries in the pulmonary Interstitium. Ref: Ganong 25th ed/page 659